Following operation is the most preferred in case of otosclerosis:
1. Stapedectomy
2. Fenestration
3. Stapedotomy
4. Sacculotomy

Correct answer: 3. Stapedotomy

Explanation: (c) Stapedotomy(Ref. Cummings, 6th ed., 2213)In mature otosclerosis when the footplate is fixed and active division has stopped the treatment consists of mobilisation of footplate of stapes. This can be done either by Stapedectomy or Stapedotomy. Fenestration operation is no longer done now.Previously Sacculotomy used to be done in Meniere's to decompress the endolymph. It is no longer done now.